Not a feature of Nonketotic hyperosmolar coma-
1. Occurs in Type-2 DM
2. Most commonly in elderly
3. Insidious onset
4. Hyperventilation occurs before coma

Correct answer: 4. Hyperventilation occurs before coma

Explanation: The prototypical patient with HHS is an elderly individual with type 2 DM, with a several week history of polyuria, weight loss, and diminished oral intake that culminates in mental confusion, lethargy, or coma (insidious onset). The physical examination reflects profound dehydration and hyperosmolality and reveals hypotension, tachycardia, and altered mental status. Notably absent are symptoms of nausea, vomiting, and abdominal pain and the Kussmaul respirations characteristic of DKA. HHS is often precipitated by a serious, concurrent illness such as myocardial infarction or stroke, sepsis, pneumonia, and other serious infections. Reference : page 2420 Harrison's Principles of Internal Medicine 19th edition